A 1-month-old infant presents to your office with an umbilical hernia. It is reducible but prolapses again almost immediately. It is TRUE that this defect
1. Is present in all children at birth
2. Will not close spontaneously
3. Should be repaired if still present at 3 months of age
4. Should be repaired at this time if it is >1 cm in diameter

Correct answer: 1. Is present in all children at birth

Explanation: The umbilical hernia is the only hernia universally present at birth due to the need for umbilical cord patency up to that instant. After birth, the vast majority of umbilical hernias close by age 3-5 years. The risk of incarceration is low and repair is usually reserved for children older than 3-5 years of age or those with a fascial defect >1-2 cm in diameter.